All of the following statements about Myasthenia Gravis are true, except:
1. Anti-AChR antibodies are the most common antibodies in generalized myasthenia gravis
2. The pathogenic Anti-AChR antibodies are IgG antibodies
3. Anti-MuSK antibodies are directed against muscarinic ACh receptors
4. The major defect is a decrease in the number of available ACh receptors

Correct answer: 3. Anti-MuSK antibodies are directed against muscarinic ACh receptors

Explanation: Anti-MuSK antibodies are autoantibodies directed against muscle-specific tyrosine kinase (MuSK) Anti-ChR antibodies and Anti-MuSK Antibodies directed against muscle-specific tyrosine kinase (MuSK) Anti-AChR antibodies are the most common antibodies in generalized myasthenia gravis. The pathogenic antibodies aee IgG and are T cell dependent The chief target of the autoimmune attack (Anti-AChR antibodies) in most cases of myasthenia gravis is the skeletal muscle nicotinic acetylcholine receptor (nAChR) The underlying defect is a decrease in the number of available Nicotinic ACh Receptors (nAChR) on the motor end plate at the "Neuromuscular junction" due to an antibody mediated autoimmune attack. Anti-MuSK antibody occurs in about 40% of patients without AChR antibody. Muscle -specific kinase (MuSK) is a protein involved in AChR clustering at neuromuscular junctions. An immune response to muscle-specific kinase (MuSK), can also result in MG, with reduction of AChR demonstrated experimentally. Anti-MuSK antibody occurs in about 40% of patients without AChR antibody. Ref: Harrison's 19th edition Pgno: 2701